In multibacillary leprosy the follow up examination after adequate treatment should'be done yearly for -
1. 3 years
2. 2 years
3. 5 years
4. 10 years

Correct answer: 3. 5 years

Explanation: Ans. is 'c' i.e., 5 years Surveillance after treatment o Clinical surveillance of cases after completion of treatment is an important part of the current recommendations for multidrug therapy. o It is essential for the assurance of long term success of treatment and for the early detection of any relapses. o The recommendations are - i) Paucibacillary leprosy clinical examination at least once a year for a minimum period of 2 years after completion of treatment. ii) Multibacillary leprosy clinical examination at least once a year for a minimum period of 5 years after completion of treatment.